Which process involves the formation of non-essential amino acid from keto acid?
1. Deamination
2. Transamination
3. Dehydrogenation
4. Oxidation

Correct answer: 2. Transamination

Explanation: The alpha amino group of amino acid can be transferred to alpha keto acid to form the corresponding new amino acid and alpha keto acid .This is a important reaction in the body for the interconversion of amino acids and for the synthesis of non-essential aminoacids. For example: Aminogroup is exchanged between alanine and glutamic acid .In almost all cases,the amino group is accepted by alpha ketoglutaric acid so that glutamic acid is formed. Reference: DM.VASUDEVAN.TEXTBOOK SEVENTH EDITION ,page no: 30 and 201